Waddell's trial does not include
1. Head injury
2. C1 vertebrae injury
3. Fracture shaft femur
4. Intra abdominal injury

Correct answer: 2. C1 vertebrae injury